C-Reactive protein is not raised in?
1. Rheumatic fever
2. Active rheumatoid arthritis
3. Acute gout
4. Viral fever

Correct answer: 4. Viral fever